Which of the following is not a component of kangaroo mother care (KMC)?
1. Skin to skin contact
2. Supplementary nutrition
3. Exclusive breast feeding
4. Early discharge and follow - up

Correct answer: 2. Supplementary nutrition

Explanation: Supplementary nutrition-not a component of kangaroo mother care (KMC) KMC : Indicated in all stable LBW babies Exclusive breast feeding Kangaroo position- skin to skin contact Early discharge from hospital & follow up